About displacement of distal fragment in colles fracture, true is:
1. Anteriorly and medially
2. Posteriory and laterally
3. Anteriorly and laterally
4. Posteriorly and medially

Correct answer: 2. Posteriory and laterally

Explanation: B i.e. Posteriorly & laterally